Persistent urachus is a risk factor for:
1. Transitional cell ca of bladder
2. Adenocarcinoma of bladder
3. Squamous cell ca of bladder
4. Undifferentiated ca of bladder

Correct answer: 2. Adenocarcinoma of bladder

Explanation: Ans is 'b' i.e. Adenocarcinoma of bladder